True about Dizygotic twins
1. Always same sex
2. Always different sex
3. Separate chorion and amnion
4. Blood group is always different

Correct answer: 3. Separate chorion and amnion

Explanation: Dizygotic twins : There are two placentae, either completely separated or more commonly fused Fetus surrounded by a separate amnion and chorion Ref: Dutta Obs 9e pg 189.